A patient presents with decreased vital capacity and total lung volume. What is the most probable
1. Bronchiectasis
2. Sarcoidosis
3. Cystic fibrosis
4. Asthma

Correct answer: 2. Sarcoidosis